Otitic barotrauma results due to:
1. Ascent in air
2. Descent in air
3. Linear acceleration
4. Sudden acceleration

Correct answer: 2. Descent in air

Explanation: Ans. B Descent in air Ref. Dhingra 5th/ed p 74, 6th/ed p 66 Otitic Barotrauma: It this condition, Eustachian tube fails to mantain middle ear pressure at ambient atmospheric level Etiology: Rapid descent during airflight Underwater diving Compression in pressure chamber. Mechanism When middle ear pressure rises | Normal eustachian tube | Allows passage of air from middle ear to pharynx | In case if atmospheric pressure is more than middle ear pressures by > 90 mmhg | Locking of eustachian tube | Sudden negative pressure in middle ear | Retraction of tympanic membrane, hyperemia, transudation with haemorrhage | Aero otitis media Clinical Features Severe earache, deafness, tinnitus, vertigo. On examination - Tympanic membrane is retracted, congested or there may be effusion in middle ear. Conductive type of hearing loss is present. Precautions Avoid traveling during upper respiratory infection. Avoid sleep during descent. Do Valsalva or swallowing or yawning during descent of flight. Treatment Middle ear ventilation should be restored by decongestants, catheterization or even myringotomy.